The most sensitive and rapid test for diagnosis of cryptococcal meningitis is
1. Culture on SDA
2. Culture on Bird seed agar
3. India Ink
4. Latex agglutination

Correct answer: 4. Latex agglutination